A 24-year-old female with long standing history of sinusitis present with fevers, headache (recent origin) and personality changes; Fundus examination revealed papilledema. Most likely diagnosis is:
1. Frontal lobe abscess
2. Meningitis
3. Encephalitis
4. Frontal bone osteomyelitis

Correct answer: 1. Frontal lobe abscess

Explanation: Patient is presenting with fever, headache and personality changes which is typical of frontal lobe abscess (which is a complication of chronics sinusitis). In meningitis and encephalitis although patient presents with fever and headache, but personality changes are not seen. Frontal bone osteomyelitis (Pott's puffy tumor) presents as doughy swelling on forehead.